Most specific histological lesion in diabetic nephropathy is:
1. Widening of glomerular basement membrane
2. Generalized mesangial thickening
3. Occlusion of glomeruli with fibrin caps
4. Hylinisation of afferent arterioles and Kimmelstein-Wilson bodies

Correct answer: 4. Hylinisation of afferent arterioles and Kimmelstein-Wilson bodies